Destructive power of bullet is determined by -
1. Weight of bullet
2. Shape of bullet
3. Size of bullet
4. Velocity of bullet

Correct answer: 4. Velocity of bullet

Explanation: the synopsis of forensic medicine & toxicology ; Dr k.s narayan reddy ; 28th edition ; pg.no 130 The fatality is determined by the velocity of the bullet ,the more its velocity the more will be its penetrating power ,& more will be chance to cause fatality.